Which of the following fats the highest concentration of saturated fatty acids -
1. Butter
2. Palm oil
3. Coconut oil
4. Margarine

Correct answer: 3. Coconut oil

Explanation: Saturated fatty acids:- Fats yield fatty acids and glycerol on hydrolysis. Fatty acids are divided into saturated fatty acids such as lauric acid, palmitic and stearic acids and Unsaturated fatty acids which are further divided into MUFA and PUFA. Approximate saturated fatty acid composition in : Coconut oil - 92 Butter/ ghee- 83 Palmolein-39 Ground nut- 19 Safflower-9 Sunflower -12 Soyabean-14 Mustard-4 Vanaspati-46 {Reference: Park's textbook of community medicine 23 rd edition, pg no. 611}